Investigation of choice for DVT is
1. Duplex USG
2. VQ scan
3. Plethysmography
4. D-dimer assay

Correct answer: 1. Duplex USG

Explanation: . Duplex scanning shows noncompressible vein which is wider than normal.On compression over calf muscles,it does not show any augmentation of flow.Normal venous sound atg the area of femoral vein which disappears during inspiration is conspicuously absent in DVT. Refer page no 224 of SRB's manual of surgery 5 th edition.